sunflower cataract was seen in?
1. Galactosemia
2. Diabetes mellitus
3. Copper Chalocosis
4. Hereditary polyposis

Correct answer: 3. Copper Chalocosis

Explanation: ANSWER: (C) Copper ChalocosisREF: Khurana 4th ed p. 493, Kanski 5th edition page 166, Parson's diseases of eye 20th edition page 253Repeat Ophthalmology 2007, 2003Indirect repeat 2012 Session 1, Post Diploma June 2012See table of "Types of Cataracts" in Ophthalmology December 2010